Which one of the following is not source of manager's power -
1. Reward
2. Coercive
3. Legitimate
4. Efferent

Correct answer: 4. Efferent

Explanation: Ans. is 'd' i.e., Efferent